Male pseudohermaphroditism
1. XX genotype, male external genitalia
2. XY genotype, female external genitalia
3. Testis and ovary both present
4. Male external genetalia and ovary present

Correct answer: 2. XY genotype, female external genitalia

Explanation: Male pseudohermaphroditism refers to individuals whose gonads are testes but whose secondary sexual characteristics or external genitalia resemble those of a female. Ex: androgen insensitivity syndrome Reference: GHAI Essential pediatrics, 8th edition